Access to TMJ is made through:
1. Preauricular approach
2. Endaural approach
3. Submandibular incision
4. All of the above

Correct answer: 4. All of the above

Explanation: Access to TMJ is made through a variety of incisions as follows:

Preauricular approach
Alkayat – Bramley incision
Coronal incision
Submandibular incision
Post auricular incision
Endaural approach